Oblitration of left cardiac shadow on PA view is due to:
1. Lingular lesion
2. Left hilar lymphadenopathy
3. Left lower lobe lesion
4. Left upper apical lobe lesion

Correct answer: 1. Lingular lesion

Explanation: A i.e. Lingular lesion